Which of the following is not a phase 1 reaction in drug metabolism:
1. Oxidation
2. Reduction
3. Deamination
4. Conjugation

Correct answer: 4. Conjugation

Explanation: Ans. D. Conjugationa. Phase-1 (Non-synthetic Rx): (oxidation/reduction/hydrolysis)- introducing or unmasking a polar functional groupb. Phase II (Synthetic or Conjugation reaction)c. Microsomal Conjugation- Enzyme is glucuronyl transferase.- e.g. Morphine, Paracetamol, Aspirin, Diazepam, Sulfonamidesd. Non-microsomal conjugation- N- acetyl conjugation (cytosol) (N- acetyltransferase)- Sulfate conjugation (Cytosol))- Amino-acid conjugation